Which of the following may NOT resolve spontaneously?
1. Erythema toxicum
2. Portwine stain
3. Capillary hemangioma
4. Cephalhematoma

Correct answer: 2. Portwine stain

Explanation: Portwine stain: Defect of dermal capillaries. Represent progressive ectasia of the superficial venous plexus. Lesions grow darker with age as the vessels become more ectatic. Face is commonly involved. They do not resolve spontaneously. Treatment: 585-nm pulsed dye LASER. Capillary haemangioma (strawberry marks/ angioma) undergo gradual and complete resolution. Erythema toxicum regresses spontaneously in a few days. Cephalhematoma resolves within 6 weeks.